Trendlenberg's sign is positive in injury to:
1. Gluteus maximus
2. Gluteus medius
3. Quadriceps lemons
4. Quadratuslumborum

Correct answer: 2. Gluteus medius

Explanation: Ans: B (Gluteus medius) Ref: Press wood L, Cronin J. Keogh J. Whatman C (2008). Ghtietis Medius: Applied Anatomy, Dysfunction, Assessment, and Progressive Strengthening. Strength and Conditioning Journal, 30 (5), 41-53Explanation:Trendelenburg's sign is found in people with w-eak or paralyzed abductor muscles of the hip, namely gluteus medius and minimus.It is named after the German surgeon Friedrich Trendelenburg.The Gluteus mediusis far more valuable as a pelvis and lower extremity dynamic stabilizer than it is a pure hip abductor.This is apparent when looking at the mechanism of a Trendelenburg GaitThe role of the gluteus medius during activities such as walking and running is to dynamically stabilize the pelvis in a neutral position during single leg stance.Weakness of the right gluteus medius will cause the left hip to drop when standing on the right limb.